Taurine is biosynthesized from-
1. Arginine
2. Leucine
3. Valine
4. Cysteine

Correct answer: 4. Cysteine

Explanation: Ans. D. Cysteine